What is the ratio of length of cervix and body of the uterus before puberty?
1. 2:01
2. 1:02
3. 1:03
4. 1:04

Correct answer: 1. 2:01

Explanation: Before puberty the ratio of length of cervix to corpus is 2:1 At puberty the ratio of length of cervix to corpus is 1:2 During reproductive years the ratio may be 1:3 or 1:4 Ref: Shaw's Textbook of Gynecology, Edition 21, Page 7